Genetic material is transferred from one bacteria to another by all except
1. Transduction
2. Transformation
3. Transfection
4. Conjugation

Correct answer: 3. Transfection

Explanation: Transfection is the method by which DNA is transferred into eukaryotic cell.